Which of the following is true about Coronary blood flow?
1. Stable throughout the cardiac cycle
2. Maximum during diastole
3. Maximum during systole
4. Regulated by sympathetic vasodilatory activity

Correct answer: 2. Maximum during diastole

Explanation: Ans. (b) Maximum during diastoleRef.: Ganong 25th ed. 1611* The Flow in coronary arteries occurs in the sub- endocardial portion of the left ventricle only during diastole, although the force is sufficiently dissipated in the more superficial portions of the left ventricular myocardium to permit some flow in this region throughout the cardiac cycle.* Because no blood flow occurs during systole in the sub- endocardial portion of the left ventricle, this region is prone to ischemic damage and is the most common site of myocardial infarction.